TRUE about bacterial mastitis is
1. Exclusively occurs is lactating breasts
2. Cleaningn baby's mouth offers protection
3. Most commonly caused by staphylococcus aureus
4. Fluctuation is an early sign of breast abscess

Correct answer: 3. Most commonly caused by staphylococcus aureus

Explanation: Most cases are caused by S. aureus and, if hospital acquired, are likely to be penicillin resistant. Most common variety of mastitis. Ref : Bailey and love 26thE pg820